All of the following are true about Hashimoto's thyroiditis, except -
1. Follicular destruction
2. Increase in lymphocytes
3. Oncocytic metaplasia
4. Orphan Annie eye nuclei

Correct answer: 4. Orphan Annie eye nuclei

Explanation: Ans. (d) Orphan Annie eye nuclei(Ref: Robbins 9th/pg 1086-1087)Morphology of hashimoto thyroiditis*Infiltration of the gland parenchyma by small lymphocytes and plasma cells Q*Well-developed germinal centers, thyroid follicles are atrophic Q*Hallmark of Hashimoto's thyroiditis Q: Hurthlecell metaplasia or Oxyphil change (Cells with abundant eosinophilic, granular cytoplasm